The commonest extradural spinal tumour is ?
1. Neurofibroma
2. Glioma
3. Meningioma
4. Metastasis

Correct answer: 4. Metastasis

Explanation: Ans. is 'd' i.e., Metastasis